Type I hypersensitivity, the mediator is -
1. IgE
2. IgD
3. IgM
4. IgC

Correct answer: 1. IgE

Explanation: Type I hypersensitivity reaction is IgE dependent. Cytotoxic IgE antibodies are fixed on the surface of tissue cells ( mast cells and basophils) in sensitized individuals. The antigen combines with the cell fixed antibody, leading to release of pharmacologically active substance that produces the clinical reaction. Reference : Anathanarayan & paniker's 9th edition, pg: 162